True about fat embolism -a) Petechia in the anterior chest wallb) Bradycardiac) Fat globules in urined) Occurs after 1st week of polytraumae) Thrmbocytopenia
1. acd
2. bde
3. cde
4. ace

Correct answer: 4. ace

Explanation: "Arterial blood gas analysis reveals hypoxemia and hypocapnia, with subsequent metabolic acidosis in severe pulmonary embolism. During anaesthesia, end tidal CO2 concentration may fall dramatically because of increased dead space and reduced cardiac output". _________ Anesthesia & Intensive care

Note : Fat embolism can present as pulmonary embolism when an extensive fat embolism of lung is present.